Which of the following IUD is used for patients with menorrhagia :
1. CuT 250
2. Multiload
3. Nova T
4. Progestasert (Levonorgestrel)

Correct answer: 4. Progestasert (Levonorgestrel)

Explanation: Progestasert (Levonorgestrel)